In ERG 'A' waves corresponds to
1. Rods and cones
2. Nerve bundleftlayer
3. Artifact
4. Pigment epithelium

Correct answer: 1. Rods and cones

Explanation: ERGA wave Activity of rods and conesB wave Bipolar cellC wave Retinal pigment epithelium(RPE)